Visual cycle refers to
1. Day vision and colour vision
2. Cycle of night vision and colour vision
3. Alternate distance and near fixation
4. Photodecomposition and regeneration of visual pigments

Correct answer: 4. Photodecomposition and regeneration of visual pigments

Explanation: Visual cycle In the retina of living animals, under constant light stimulation, a steady state must exist under which the rate at which the photochemicals are bleached is equal to the rate at which they are regenerated. This equilibrium between the photodecomposition and regeneration of visual pigments is referred to as visual cycle. Reference :- A K KHURANA; pg num:-14,15